Free radical with highest activity:
1. Hydrogen peroxide
2. Hydroxyl radical
3. Superoxide radical
4. Hydroperoxyl radical

Correct answer: 2. Hydroxyl radical

Explanation: Oxygen Free Radical with highest activity which is most powerful is OH (hydroxy) radical.